Diarrhoea with acantholysis in urine
1. Whipples disease
2. Celiac sprue
3. Abetalipoproteinemia
4. Ulcerative colitis

Correct answer: 3. Abetalipoproteinemia

Explanation: Harrison's principles of internal medicine 17th edition. *Steatorrheal cause of chronic diarrhea is a mucosal malabsorption caused by celiac disease,whipple's disease and abetalipoproteinemia. Abetalipoproteinemia is a rare defect is a defect of chylomicron formation and fat malabsorption in children associated with acantholytic erythrocytes,,ataxia and retinitis pigmentosa.